Brodies abscess common in:
1. Long bones of metaphysis
2. Long bones of diaphysis
3. Mandible
4. Vertebral bodies

Correct answer: 1. Long bones of metaphysis

Explanation: (Long bones of diaphysis): Ref: 163-M, 32-ABRQDIE'S ABSCESS (sub acute hacmatogenous oslcomyclitis)A chronic bone abscess containing pus or Jelly - like granulation tissue surrounded by a zone of sclerosisClinical features: -* 11-20 years of age* Common sites are the upper end of the tibia and lower end of the femur* Usually located in the metaphysisGarre's sclerosing osteonn elilis: - non suppurating ostcomycliles which is characterized by marked sclerosis and cortical thickening. There is no abscess only a diffuse enlargement of the bone at the affected site - usually the diaphysis of the tubular bones or the mandible